Which of the following type of joint is proximal radioulnar joint?
1. Hinge joint
2. Ball and socket joint
3. Pivot joint
4. Saddle joint

Correct answer: 3. Pivot joint

Explanation: Proximal radioulnar joint articulates between the circumference of the head of the radius and the anular ligament and the radial notch on the ulna. It forms a synovial pivot joint. Action is pronation and supination of the forearm. Distal radioulnar joint articulated between the rounded head of the ulna and the ulnar notch on the radius. It is also forms synovial pivot joint. Ref: Clinical Anatomy By Regions By Richard S. Snell, 2011, Page 408, 409.